Drug of choice for intractable hiccups -
1. Promethazine
2. Chlorpromazine
3. Scopolamine
4. Clozapine

Correct answer: 2. Chlorpromazine

Explanation: Answer- B. ChlorpromazineHiccups are repeated spasmodic involuntary contractions ofthe diaphragm that occur when you inhale.Persistent or Intractable Hiccups:-i) Chlorpromazine - Drug of choice ii) Baclofen iii) Diphenylhydantoiniv) Valproic acid v) Amitriptyline vi) Metoclopromide